Origin of lymphoplasmacytic lymphoma is from:-
1. Germinal centre T cell
2. Germinal centre B cell
3. Post germinal centre B cell
4. Pre germinal centre B cell

Correct answer: 3. Post germinal centre B cell

Explanation: Lymphoplasmacytic lymphoma (Waldenstrom Macroglobinemia) : B cell lymphoma that exhibit plasmocytic differentiation, clinical symptoms dominated by hyperviscosity related to high level of tumor derived IgM. Origin:- Post geminal Centre B cell.